Sentinel lymph node biopsy is an important part of the management of which of the following malignancies?
1. Carcinoma prostate
2. Carcinoma breast
3. Carcinoma lung
4. Carcinoma nasopharynx

Correct answer: 2. Carcinoma breast

Explanation: Sentinel lymph node biopsy is the most widely accepted method of axillary lymph node staging for invasive breast cancer. Axillary lymph node status is the most powerful predictor of recurrence and survival in breast cancer patients. In sentinel node biopsy, blue dye and or radioactive colloid is injected into the breast parenchyma around the tumor, and these are picked up by the lymphatic channels and concentrated in the lymph node draining the cancer. It is then removed by excision. If sentinel node is negative for cancer, chance of metastasis being found in the axillary node is less than 5%. If sentinel lymph node biopsy is positive, axillary node resection is required. Ref: Breast Cancer Research Protocols By Susan A. Brooks, Chapter 91; Schwartz's Principles of Surgery, 9th Edition, Chapter 10; Primary Care for Women By Phyllis Carolyn Leppert, 2nd Edition, Page 204